Primitive streak remanants give rise to ?
1. Neuroblastomas
2. Wilm's tumour
3. Sacrococcygeal teratoma
4. Hepatoblastoma

Correct answer: 3. Sacrococcygeal teratoma

Explanation: Sacrococcygeal teratoma (SCT) is a type of tumor known as a teratoma that develops at the base of the coccyx (tailbone) and is thought to be derived from the primitive streak. Sacrococcygeal teratomas are benign 75% of the time, malignant 12% of the time, and the remainder are considered "immature teratomas" that share benign and malignant features. Benign sacrococcygeal teratomas are more likely to develop in younger children who are less than 5 months old, and older children are more likely to develop malignant sacrococcygeal teratomas. The Currarino triad (OMIM 176450), due to an autosomal dominant mutation in the MNX1 gene, consists of a presacral mass (usually a mature teratoma or anterior meningocele), anorectal malformation and sacral dysgenesis. Ref: https://en.m.wikipedia.org/wiki/Sacrococcygeal_teratoma